All are the disadvantages of cast restoration except
1. Not conservative
2. Less number of appointments
3. Relies on the bulk of tooth structure for resistance and retention form
4. Necessity for a cementing medium

Correct answer: 2. Less number of appointments

Explanation: Diadvantages 

In the restoration of a small carious lesion, an inlay is not very conservative.
Rely on the bulk of the buccal and lingual cusps for resistance and retention form (wedge the cusps).
Number of appointments are more.
Necessity for a cementing medium.

MDS Prep Bytes( Cast Restoration – Inlay)